The socio-economic/ Housing scale developed for rural setup is
1. Kuppuswami
2. Pareek
3. Bhore
4. Adson’s scale

Correct answer: 2. Pareek